Not true of secondary syphilis
1. May be asymptomatic
2. Usually involve palms & soles
3. Vesicular Bullous lesions
4. Lymphadenopathy

Correct answer: 3. Vesicular Bullous lesions

Explanation: C i.e. Vesicular lesions